A 6 weeks pregnant primigravida is brought to the emergency department with severe, acute abdominal pain. USG shows ectopic pregnancy. Which of the following has the LEAST risk of ectopic pregnancy?
1. Tubectomy
2. Infertility >1 year
3. Copper T
4. Condoms

Correct answer: 4. Condoms

Explanation: Condoms reduces the incidence of tubal infertility and ectopic pregnancy. Risk factors of ectopic pregnancy: Prior ectopic pregnancy Prior tubal surgery Smoking >20 cigarettes per day Prior STD with confirmed PID by laparoscopy and/or positive test for Chlamydia trachomatis Three or more prior spontaneous miscarriages Age 40 years Prior medical or surgical abortion Infertility >1 year Lifelong sexual partners >5 Previous IUD use Ref: Textbook of Obstetrics by D C Dutta, 6th edition, Page 533.